Culture of streptococcus viridans resemble
1. Staphylococcus
2. Streptococcus pyogenes
3. Pneumococcus
4. Streptococcus faecalis

Correct answer: 3. Pneumococcus

Explanation: Streptococcus viridans and Streptococcus pneumoniae are alpha hemolytic. On blood agar, after incubation for 18 hours, the colonies are small (0.5-1mm), dome-shaped and glistening, with an area of green discolouration around them, resembling colonies of viridans streptococci. Reference: Textbook of Microbiology; Anathanarayan and panicker's; 10th edition; Page no: 224